Which of the following is NOT an intermediate acting muscle relaxant?
1. Cisatracurium
2. Rocuronium
3. Mivacurium
4. Vecuronium

Correct answer: 3. Mivacurium

Explanation: Agents that are generally administered comprise the depolarizing muscle relaxant succinylcholine, as well as non-depolarizing agents mivacurium (short acting), cisatracurium, rocuronium, vecuronium (all three intermediate acting), and pancuronium (long acting). Long acting agents increase a patient's risk of postoperative respiratory complications, which may be related to residual neuromuscular blockade. Use of intermediate acting non-depolarizing neuromuscular blocking agents during surgery are associated with an increased risk of severe postoperative, respiratory complications Ref: Intermediate acting non-depolarizing neuromuscular blocking agents and risk of postoperative respiratory complications: prospective propensity score matched cohort study ; BMJ 2012;345:e6329.